Earliest change in iron deficiency anaemia is
1. Decreased serum iron
2. Decreased serum ferritin
3. Decreased TIBC
4. Decreased hemoglobin

Correct answer: 2. Decreased serum ferritin

Explanation: Ferritin is a blood cell protein that contains iron. A ferritin test helps your doctor understand how much iron your body is storing. If a ferritin test reveals that your blood ferritin level is lower than normal, it indicates your body's iron stores are low and you have iron deficiency Ref:guyton and hall textbook of medical physiology 12 edition page number:118,119,120